Lesions of which of the hypothalamic nuclei cause diabetes insipidus:
1. Dorsomedial nuclei
2. Supraoptic and paraventricular nuclei
3. Median preoptic nuclei
4. Ventromedial nuclei

Correct answer: 2. Supraoptic and paraventricular nuclei

Explanation: b. Supraoptic and paraventricular nuclei(Ref: Nelson's 20/e p 348-349, Ghai 8/e p 511)Vasopressin, a 9-amino-acid peptide, has both antidiuretic and vascular pressor activity and is synthesized in the paraventricular and supraoptic nuclei of the hypothalamus.Deficiency of Vasopressin is responsible for Diabetes insipidus.